All of the following proteins are synthesized by liver, EXCEPT:
1. C3 complement component
2. HapToglobin
3. Fibrinogen
4. Immunoglobulin

Correct answer: 4. Immunoglobulin

Explanation: Immunoglobulins are the products of differentiated B cells and mediate the humoral arm of the immune response. The principal plasma proteins synthesized by the liver. They are acute-phase proteins, albumin, clotting factors, steroid-binding and other hormone-binding proteins. Ref: Haynes B.F., Fauci A.S., Soderberg K.A. (2012). Chapter 314. Introduction to the Immune System. In D.L. Longo, A.S. Fauci, D.L. Kasper, S.L. Hauser, J.L. Jameson, J. Loscalzo (Eds), Harrison's Principles of Internal Medicine, 18e.